Which of the following drugs is both effective and safe to use in a pregnant patient suffering from bipolar disorder?
1. Carbarnazepine
2. Lithium
3. Olanzapine
4. Valproic acid

Correct answer: 3. Olanzapine

Explanation: (Ref: KDT 6/2 p429, 430) All of these drugs can be used for the treatment of bipolar disorder but carbamazepine, lithium and valproic acid are teratogenic. Olanzapine is safe in pregnancy.